Measure of dispersion in normal distribution from mean is known as
1. Standard deviation
2. Range
3. Variance
4. Median

Correct answer: 1. Standard deviation